What is application of Plaster of Paris all around the surface called ?
1. Cast
2. Slab
3. Spica
4. None of the Above

Correct answer: 1. Cast

Explanation: Plaster of Paris with water :- When applied on one surface - Slab When applied all around- Cast When goes around the spine (limb+spine) - Spica